Deep transverse arrest is most commonly seen in which type of pelvis?
1. Anthropoid pelvis
2. Android pelvis
3. Gynaecoid pelvis
4. Platypelloid pelvis

Correct answer: 2. Android pelvis

Explanation: Deep transverse arrest is most commonly encountered in android pelvis. Deep transverse arrest occurs when the fetal head lies in the transverse diameter, deep in the pelvis and there is a considerable delay. Android pelvis is a pelvis with converging side walls, straight sacrum and a narrow sub pubic arch.